Tryptophan is:
1. Non polar, essential and pure glucogenic
2. Polar, essential and both glucogenic & ketogenic
3. Polar, non-essential, both glucogenic & ketogenic
4. Non polar, essential, both glucogenic & ketogenic

Correct answer: 4. Non polar, essential, both glucogenic & ketogenic

Explanation: Ans. D. Non polar, essential, both glucogenic & ketogenicTryptophan is a non-polar, heterocyclic amino acid. It acts as glucogenic as well as ketogenic amino acid. It is an essential amino acid as it helps in the formation of Niacin (active form NAD) and serotonin and melatonin.